Oral retinoid is indicated in the treatment of:
1. Acne vulgaris
2. Pemphigus vulgaris
3. Lupus vulgaris
4. Erythema multiforme

Correct answer: 1. Acne vulgaris

Explanation: Acne vulgaris